Naltrexone is used in opioid addiction. Which of the following is true?
1. Is used to treat withdrawal symptoms
2. Is used to treat overdose of opioids
3. Is used to prevent relapse
4. It has addiction potential, if used long term

Correct answer: 3. Is used to prevent relapse

Explanation: In opiate dependent individuals, pharmacotherapy includes both opioid agonist and antagonist medications. Naltrexone is an opioid antagonist that has a high af?nity for blocking m-receptors. Heroin addicts maintained on naltrexone experience little or no euphoria when opiates are used. The medication should only be started in patients when they are opioid free because of the possibility of precipitating withdrawal symptoms. Methadone is the opioid agonist most commonly used for maintenance treatment. This medication is given to the patient at varying dosages from 60 to 120mg daily. Pharmacological treatments can be used as adjuncts to the overall treatment plan but not as a replacement. Pharmacological treatment can be divided into the following categories: 1. Aversive conditioning Disul?ram (alcohol) 2. Blockade of positive or negative reinforcement Naltrexone (opioids, alcohol)Acamprosate (alcohol) 3. Drive suppression Bupropion (tobacco)Buprenorphine (opioids)Methadone (opioids)Naltrexone (opioids)Varenicline (tobacco)Nicotine replacement therapies (tobacco) Ref: Kaplan & Sadock's, Comprehensive Textbook of Psychiatry, 9th Edition, Page 525